Heart-lung machines are sterilized by?
1. Glutaraldehyde
2. Ethylene oxide
3. Carbolic acid
4. Aqueous solution of iodine

Correct answer: 2. Ethylene oxide

Explanation: ETHYLENE DIOXIDE its action is due to alkylating the amino ,carboxy,hydroxyland sulphydrl groups in protein molecules. In addition it reacts with DNA and RNA. It is use as a disinfectant presents a potential toxicity to human beings including mutagenicity and carcinogenicity. it diffuses through many types of porous materials nad readily penetrates some plastics.it is especially used for sterilising heart lung machines ,respirators sutures dental equipments books and clothing.it is unsuitable for fumigating rooms because of its explosive property. it has been successfully used to sterilise a wide range of materials such as glass metas and paper surfaces clothing ,plastics,soil, some foods and tobacco. REF:Ananthanarayan and Panicker's Textbook ofMicrobiology 8thEdition pg no:37